Which of the following is the commonest cause of farmer's lung?
1. Micropolyspora faeni
2. Thermoactinomyces sacchari
3. Mycobacterium bovis
4. None of the above

Correct answer: 1. Micropolyspora faeni

Explanation: Farmer's lung is caused due to inhalation of mouldy hay or grain. Thermophillic actinomyeces, commonly Micropolyspora faeni is the common cause of farmer's lung. Ref: Park 21st edition, page 748. Chapter: Occupational health.